Fluoride level permissible in drinking water ?
1. < 0.5 mg/L
2. 0.5-0.8 mg/L
3. 1 mg/L
4. 1.5 mg/L

Correct answer: 4. 1.5 mg/L

Explanation: Ans. is 'd' i.e., 1.5 mg/L The recommended level of fluoride in drinking water in the country is accepted as 0.5 to 0.8 mg/ Liter. -Park o Maximum permissible limit is 1.5 mg/Lit. Guidelines of for drinking water Colour < 15 true colour units (TCU) Turbidity < 1 nephlometric turbidity units (NTU) Hardness < 100 - 300 mg/litre calcium ion o pH: 6.5-8.5 Total dissolved solids (TDS) < 600 mg/litre Chloride 200 - 600 mg/L H,S < 0.05 mg/L Iron < 0.3 mg/L Sodium < 200 mg/L Sulphate < 250 mg/L Zinc < 4 mg/L NH3 <1.50 mg/L Fluorine < 1.5 mg/L (0.5 - 0.8 mg/L : Optimum level) Nitrates < 50 mg/litre Nitrites < 3 mg/litre Gross alpha radiological activity < 0.1 Bq/litre Gross beta radiological activity < 1.0 Bq/litre Zero pathogenic microorganisms Zero infectious viruses Absence of pathogenic protozoa and infective stages of helminthes Dissolved 02 has indirect effect, level is not specified.